Features of Alzheimer's disease are all Except
1. Narrowing of ventricles
2. Hirano bodies
3. Amyloid
4. Neuritic plaques

Correct answer: 1. Narrowing of ventricles

Explanation: Hirano bodies are intracellular aggregates of actin and actin-associated proteins. Hirano bodies are found in the nerve cells of individuals afflicted with certain neurodegenerative disorders, such as Alzheimer's disease and Creutzfeldt-Jakob disease. Senile plaques (also known as neuritic plaques) are extracellular deposits of amyloid beta in the grey matter of the brain. Alzheimer's disease is a progressive disorder that causes brain cells to waste away (degenerate) and die. Alzheimer's disease is the most common cause of dementia -- a continuous decline in thinking, behavioral and social skills that disrupts a person's ability to function independently Refer robbins 9/e p834